Fracture scaphoid is usually seen in:
1. Elderly male
2. Elderly postmenopausal female
3. Young active adult
4. Children

Correct answer: 3. Young active adult

Explanation: C i.e. Young active adult